Which of the following incision used in diaphragm surgery is safest
1. Horizontal
2. Vertical
3. Circumferential
4. Transverse

Correct answer: 3. Circumferential

Explanation: Circumferential is the safest as it prevents injury to phrenic nerve to maintain the function of the diaphragm